All of the following are mediators of inflammation except-
1. Tumour necrosis factor-a
2. Interleukin-1
3. Myeloperoxidase
4. Prostaglandins

Correct answer: 3. Myeloperoxidase

Explanation: Ans. is 'c' i.e., MyeloperoxidaseMyeloperoxidase is not an inflammatory mediator. It is an enzyme of neutrophil which catalyzes the conversion of Ct, Br-, and and SCN- to the corresponding acids (HOC1, HOBr etc.). These acids are potent oxidants and help in destroying the invading organisms.